Pneumatoceles on chest radiograms in a child with pneumonia are seen the infection -
1. Staphylococcus
2. Pneumococcus
3. Streptococcus
4. Hemophilus influenza

Correct answer: 1. Staphylococcus

Explanation: Ans. is 'a' i.e., Staphylococcus